All of the following are autosomal dominant disorders, except-
1. Familial hypercholesterolemia
2. Cystic fibrosis
3. Neurofibromatosis
4. Ehlers-Danlos syndrome

Correct answer: 2. Cystic fibrosis

Explanation: Mutations involving single genes follow one of three patterns of inheritance: autosomal dominant, autosomal recessive, or X-linked. Autosomal Dominant Inheritance Familial hypercholesterolemia Huntington disease Marfan syndrome Ehlers-Danlos syndrome Hereditary spherocytosis Neurofibromatosis, type 1 Adult polycystic kidney disease Autosomal Recessive Inheritance Cystic fibrosis Phenylketonuria Tay-Sachs disease Severe combined immunodeficiency a- and b-Thalassemias Sickle cell anemia Mucopolysaccharidoses--all types Glycogen storage diseases--all types Galactosemia (Robbins Basic Pathology,9th edition,pg no. 219)